Total score in Mini Mental Status Examination (MMSE) is :
1. 25
2. 30
3. 32
4. 35

Correct answer: 2. 30

Explanation: The Mini Mental Score Examination (MMSE) is an easily administered 30 - point test of cognitive function.